The normal adult value of urine output:
1. 1.5 l /day
2. 3 l /day
3. 0.5 l /day
4. 2 l /day

Correct answer: 1. 1.5 l /day